Jelly belly is otherwise known as:
1. Abdominal obesity in cushing syndrome
2. Pseudomyxoma peritonei
3. TB abdomen
4. Kwashiorkor

Correct answer: 2. Pseudomyxoma peritonei

Explanation: Pseudomyxoma peritonei (PMP) is an uncommon clinical entity . It is characterized by diffuse intra-abdominal gelatinous collections (jelly belly) with mucinous implants on peritoneal surfaces and the omentum Ref: World J Gastrointest Oncol 2010 January 15; 2(1): 44-50.